All of the following are supports of uterus except?
1. Pelvic diaphragm
2. Utero sacral ligament
3. Tubo ovarian ligament
4. Round ligament

Correct answer: 3. Tubo ovarian ligament

Explanation: Ans. is 'c' i.e., Tubo-ovarian ligament SUPPORTS OF THE UTERUS A. PRIMARY SUPPORTS L Muscular (Main) supports Pelvic diaphragm (levator ani) Urogenital diaphragm Perineal body ILFibromuscular / Mechanical supports Uterine axis Pubocervical ligament Transverse cervical ligament of Mackenrodt Uterosacral ligament Round ligament of uterus (weak) B. SECONDARY SUPPORTS These are peritoneal folds which have doubtful value in supporting the uterus. Broad ligament Uterovesical fold of peritoneum Rectovaginal fold of peritoneum